The presence of delusion, hallucination and disturbed cognitive functions indicate:
1. Paranoid Psychosis
2. OCD
3. Dissociative disorder
4. Organic Brain Syndrome

Correct answer: 4. Organic Brain Syndrome

Explanation: C i.e. Organic brain syndrome